Which of the following statement is TRUE about osteoblasts and chondroblasts?
1. Terminally differentiated cells
2. In contact with neighboring cells gap junctions
3. Found in lacunae
4. Derived from mesenchymal stem cells

Correct answer: 4. Derived from mesenchymal stem cells

Explanation: Osteoblasts are modified fibroblasts. Their early development from the mesenchyme is the same as that of fibroblasts, with extensive growth factor regulation. Normal osteoblasts are able to lay down type 1 collagen and form new bone. A chondroblast is a cell which originates from a mesenchymal stem cell and forms chondrocytes, commonly known as cartilage cells. Chondroblasts that become embedded in the matrix are called chondrocytes. Also Know: Osteoclasts erode and absorb previously formed bone. They become attached to bone integrins in a membrane extension called the sealing zone. Ref: Barrett K.E., Barman S.M., Boitano S., Brooks H.L. (2012). Chapter 21. Hormonal Control of Calcium & Phosphate Metabolism & the Physiology of Bone. In K.E. Barrett, S.M. Barman, S. Boitano, H.L. Brooks (Eds), Ganong's Review of Medical Physiology, 24e.